Copper sulfate poisoning manifests with
1. High anion gap acidosis
2. Rhabdomyolysis
3. Acute hemolysis
4. Peripheral neuropathy

Correct answer: 3. Acute hemolysis

Explanation: COPPER Poisonous Compounds: (1) Copper sulphate (blue vitriol) occurs in large, blue crystals. (2) Copper subacetate (verdigris), occurs in bluish-green masses or powder. Signs and Symptoms: Increased salivation, burning pain in the stomach with colicky abdominal pain, thirst, nausea, eructations and repeated vomiting. The vomited matter is blue or green. There is diarrhoea with much straining; motions are liquid and brown but not bloody. Oliguria, haematuria, albuminuria, acidosis and uraemia may occur. In severe cases haemolysis,haemoglobinuria, methaemoglobinaemia, jaundice, pancreatitis and cramps of legs or spasms and convulsions occur. The breathing is difficult, cold perspiration and severe headache occur. In some cases, paralysis of limbs is followed by drowsiness, insensibility, coma and death due to shock. Later deaths occur due to hepatic or renal failure or both. Ref:- k s narayan reddy; pg num:-547